True about rash of chickenpox -
1. Centripetal
2. Deep Seated
3. Affectspalm
4. Slow to evolute

Correct answer: 1. Centripetal

Explanation: Ans. is 'a' i.e., Centripetal o Rash of chicken pox : Superficial, unilocular, centripetal, pleomorphic, symmetrical, affects flexor surfaces and axilla, spares palms and sales, has inflammation around, rapid evolution and dew-drop on rose petal appeamace.o Has been explained in All India Dec-15